Which drug can cause macular toxicity when given intravitreally ?
1. Gentamicin
2. Vancomycin
3. Dexamethasone
4. Ceftazidime

Correct answer: 1. Gentamicin

Explanation: Gentamycin causes macular infarction (retinotoxic). Preferably the aminoglycosides should be avoided intravitreally. Ref : Khurana page no. 169